Minimal level of iodine at consumer level should be..... ppm:
1. 5
2. 10
3. 15
4. 30

Correct answer: 3. 15

Explanation: Ans. is 'c' i.e., 15 In India the level of iodization is fixed under the Prevention of food adulteration (PFA) act and is not less than 30 ppm at the production point and not less than 15 ppm of iodine at the consumer level.